Definition of low birth weight:
1. Wt <2.5kg
2. Wt <2kg
3. Wt < 1.5kg
4. Wt <1 kg

Correct answer: 1. Wt <2.5kg

Explanation: Ref: Nelson's Textbook of Pediatrics. 19th EditionExplanation:Some important definitions in Neonatology Low birth weight: Birth weight of less than 2.5 kg irrespective of gestational age Very low birth weight: Birth weight of less than 1.5 kg irrespective of gestational age.Extremely low birth weight: Birth weight of less than 1.0 kg irrespective of gestational ageNeonatal: First 28 days of postnatal life.Preterm: Less than 37 completed weeks of gestationsTerm: After 37 completed weeks of gestationsPost term: After 42 completed weeks of gestationsPast Dates: After 40 completed weeks of gestationsStill birth: Delivering dead fetus after 28 weeks of gestation. (Defn changes with country)Abortion: Expulsion of products of conception before 28 weeks of gestation.Small for Gestational Age (SGA): Weight below the I Oth percentile for the gestational age Large for Gestational Age (LGA): Weight above the 90th percentile for the gestational age Appropriate for Gestational Age (AGA): Weight between 10lh & 90th percentile for the gestational age